Collagen of which type is found in hyaline cartilage
1. Type I
2. Type II
3. Type III
4. Type IV

Correct answer: 2. Type II

Explanation: In Hyaline cartilage Type II collagen is the principal protein, and a number of other minor types of collagen are also present.In elastic cartilage contains elastin, and fibroelastic cartilage contains type I collagen.Reference: Harpers biochemistry 30th edition page 643